Anterolateral surface of left kidney is related with which of the following vessels?
1. Splenic vessels
2. Left colic vessels
3. Both of the above
4. None of the above

Correct answer: 3. Both of the above

Explanation: A small medial area of the superior pole is related to the left suprarenal gland. Approximately the upper two-thirds of the lateral half of the anterior surface is related to the spleen. A central quadrilateral area lies in contact with the pancreas and the splenic vessels. Above this a small variable triangular region, between the suprarenal and splenic areas, is in contact with the stomach. Below the pancreatic and splenic areas, a narrow lateral strip which extends to the lateral border of the kidney is related to the left colic flexure and the beginning of the descending colon. An extensive medial area is related to loops of jejunum. The gastric area is covered with the peritoneum of the lesser sac (omental bursa) and the splenic and jejunal areas are covered by the peritoneum of the greater sac. Behind the peritoneum covering the jejunal area, branches of the left colic vessels are related to the kidney. The suprarenal, pancreatic and colic areas are devoid of peritoneum. Ref: Gray's anatomy 40th edition, Chapter 91.